In a woman using an intrauterine contraceptive device (IUCD) an intrauterine pregnancy occurs and the IUCD threads are visible. What is the reason to recommend removal of the device?
1. To prevent the risk of subsequent septic abortion and preterm labor
2. To prevent congenital abnormality of the newborn
3. To prevent post-partum haemorrhage
4. To prevent perforation

Correct answer: 1. To prevent the risk of subsequent septic abortion and preterm labor

Explanation: - There is no teratogenic risk with a retained IUCD. - However, there may be an increased risk of infection and preterm labour. - Hence, it is recommend to remove the device.